The major ejection force in vomiting is provided by
1. Stomach
2. Reverse peristalsis of intestine
3. Diaphragm
4. Abdominal muscles

Correct answer: 4. Abdominal muscles

Explanation: The major ejection force in vomiting is provided by Abdominal muscles.